Which of the following is not a heteropolysaccharide?
1. Hyaluronic acid
2. Chondroitin sulfate
3. Heparan sulfate
4. Inulin

Correct answer: 4. Inulin